False about primary immune response
1. Immune response against subsequent antigenic challenge
2. Lag period is longer.
3. Slow, Sluggish and short lived
4. All the above

Correct answer: 1. Immune response against subsequent antigenic challenge

Explanation: Immune response against primary antigenic challenge - Primary immune response.